Which of the follow ing causes decrease in BP -
1. Thromboxane A2
2. Vasopressin
3. NO
4. PGF2

Correct answer: 3. NO

Explanation: Ans. is 'c' i.e, NOo Substances which cause vasodilatation, can cause fall in BP.o Substances which cause vasoconstriction, can cause rise in BP.Vasodilators (cause decrease in BP)Vasoconstrictors (casue increase in BP)o Kinins (Bradykinin)o PGEL,o PGI, (Prostacyclin)o VTPo ANPo Nitric oxide (NO)o Adrenaline & Noradrenalineo ADM (Vasopressin)o Angiotensin IIo Endothelinso PGF2o Thromhoxane-A,